The most potent risk factor for TB among infected individuals is which of the following conditions?
1. Silicosis
2. Diabetes
3. HIV infection
4. Chronic renal failure

Correct answer: 3. HIV infection

Explanation: In absolute terms, the most potent risk factor for TB among infected individuals is HIV co-infection. Reference: Harrisons Principles of Internal Medicine, 18th Edition, Page1343, Table 165-1